Which of the following chest x-ray finding is a common feature of ARDS and cardiogenic pulmonary edema?
1. Cardiomegaly
2. Pleural effusions
3. Pulmonary vascular redistribution
4. Alveolar and interstitial opacities

Correct answer: 4. Alveolar and interstitial opacities

Explanation: In ARDS, the chest radiograph usually reveals alveolar and interstitial opacities involving at least three-quarters of the lung fields. While characteristic for ARDS, these radiographic findings are not specific and can be indistinguishable from cardiogenic pulmonary edema. Unlike the latter, however, the chest x-ray in ARDS rarely shows cardiomegaly, pleural effusions, or pulmonary vascular redistribution. Chest CT in ARDS reveals extensive heterogeneity of lung involvement. Figure: Diffuse bilateral coalescent opacities and groundglas opacities, mediastinal lymphadenomatosis.